Cytogenetics for synovial cell sarcoma is -
1. t (X : 18)
2. t (17, 9)
3. t (9, 22)
4. t (11,14)

Correct answer: 1. t (X : 18)

Explanation: Synovial cell Sarcoma (SCS) 

Synovial cell sarcoma forms about 10% of all soft tissue sarcomas.
Although the name suggests an origin from the synovial linings, less than 10% of them are intra-articular.
Most synovial sarcomas show a characteristic chromosomal translocation t (X: 18) producing SYT-SS X1 or - SS X2 fusion genes. The specific translocation is associated with poor prognosis.
60-70% of SCS involve the lower extremities, especially around knee and thigh.
Histologic hallmark of biphasic synovial sarcoma is the dual lining of differentiation of the tumor cells (eg. epithelial like and spindle cells).
Calcified concretions can be present on X-rays.
This tumor is positive for


Keratin
Epithelial membrane antigen.